Which is not a risk factor of endometrial carcinoma -
1. Obesity
2. Smoking
3. Infertility
4. Tarnoxifen

Correct answer: 2. Smoking

Explanation: ETIOPATHOGENESIS. The exact aetiology of endometrial cancer remains unknown. However, a few factors associated with increased frequency of its development are chronic unopposed oestrogen excess, obesity, diabetes, hypertension and nulliparous state. There is irrefutable evidence of the relationship of endometrial carcinoma with prolonged oestrogenic stimulation. These evidence are as under 1. Endometrial carcinoma has an association with endometrial hyperplasia (discussed above) in which there are unopposed chronic hyperoestrogenism and frequent anovulatory cycles. 2. In postmenopausal years when endometrial carcinoma occurs characteristically, there is an excessive synthesis of oestrogen in the body from adrenal as well as from ovarian sources. 3. Women having oestrogen-secreting tumours (e.g. granulosa cell tumour) have increased risk of developing synchronous endometrial cancer. 4. Patients receiving prolonged exogenous oestrogen therapy are at higher risk of developing this cancer. 5. Women of breast cancer receiving tamoxifen for a prolonged period have 2-fold increased risk of developing uterine cancer. 6. Prolonged administration of oestrogen to laboratory animals can produce endometrial hyperplasia and carcinoma. 7. Women with gonadal agenesis rarely develop endometrial carcinoma. Ref: TEXTBOOK OF PATHOLOGY 6th EDITION - HARSH MOHAN PAGE NO:735